A female patient presents with upper respiratory tract infection. Two days after, she develops hematuria. What is the probable diagnosis?
1. IgA nephropathy
2. Wegener's granulomatosis
3. Henoch-Schonlein purpura
4. Poststreptococcal glomerulonephritis

Correct answer: 1. IgA nephropathy

Explanation: IgA nephropathy is associated with upper respiratory tract infections Gross hematuria usually appears simultaneously or within the first 48-72 hours after the infection begins; persists <3 days; loin pain- due to renal capsular swelling. Urine is usually brown rather than red, and clots are unusual.